Elastic cartilage is present in
1. Thyroid cartilage
2. Epiglottis
3. Cricoid
4. Arytenoid cartilage

Correct answer: 2. Epiglottis

Explanation: Elastic cartilage is present in - Epiglottis. It is a yellow, leaf-like elastic cartilage forming the anterior wall of the laryngeal inlet. It is attached to the body of the hyoid bone by the hyoepiglottic ligament, which divides into suprahyoid and infrahyoid epiglottis. Other elastic cartilage structures are corniculate, cuneiform and tip of arytenoid near corniculate cartilage. Thyroid, cricoid and most of the arytenoid cartilage are by hyaline cartilage. Ref: Textbook of diseases of ENT, PL Dhingra, 7th edition, pg no. 319